Dose of vitamin A prophytaxis given in age group 1– 6 years –
1. 2000 iu
2. 20000 iu
3. 200000 iu
4. 100000 iu

Correct answer: 3. 200000 iu